A poison which is luminescent and waxy and have a garlic smell:
1. Alphos
2. Ammonium bromide
3. Opium
4. Yellow phosphorous

Correct answer: 4. Yellow phosphorous

Explanation: Ans. Yellow phosphorous